In congenital dislocation of hip, clinical sign which shows that the affected thigh is at a lower level when the knees and hips are flexed to 90 degrees is known as:
1. Ortolani's sign
2. Barlow's sign
3. Von Rosen's sign
4. Galeazzi's sign

Correct answer: 4. Galeazzi's sign

Explanation: Galeazzi sign or Allis sign is done for Development Dysplasia of Hip in which on hip flexion and knee flexion the knee on affected side is at lower levels.